Male halth assistant covers how much population-
1. 1000
2. 5000
3. 30000
4. 50000

Correct answer: 3. 30000

Explanation: Ans. is 'c' i.e., 30000 Population Norms in IndiaCentre/Health personnelPopulation coveredOne Doctor3500One Nurse5000One subcentreOne female health worker (auxiliary nurse midwife: ANM)One male health worker (multipurpose worker)5000 in plains, 3000 in hilly/tribal/backward areasOne PHCOne health Assistant maleOne health Assistant female (lady health visitor : LHV)30,000 in plains, 20,000 in hilly/tribal/backward areasOne CHC1,20,000 in plains, 80,000 in hilly /tribal areasOne ASHA1000 (village)One trained Dai1000 (village)One village health guide1000 (village)One Anganwadi worker400-800 in plains, 300-800 in hilly/tribal areasOne pharmacist100,000One lab technician10,000